True about ‘total fertility rate’ is
1. Sensitive indicator of family planning achievement
2. Completed family size
3. Number of live births per 1000 married women in reproductive age group
4. Average number of girls born to a woman

Correct answer: 2. Completed family size

Explanation: • Standardized index for fertility level.
• Average no. of children a woman would bear in her reproductive life span; Also known as ‘Period Total Fertility Rate.’
• Gives magnitude of approximately ‘completed family size’ – no. of alive children in a family.
• Obtained by summing single-year age-specific rates at a given time.
• TFR is a synthetic rate: Is not actually counted, as this would involve waiting until women complete childbearing.